Harakiri is death by:
1. Stab in neck
2. Stab in thorax
3. Stab in abdomen
4. Stab in wrist and neck

Correct answer: 3. Stab in abdomen

Explanation: Ans. c. Stab in abdomen (Ref: Parikh's 6/e p4.21; style="font-size: 1.04761904761905em; font-family: Times New Roman, Times, serif">; Reddy 33/e p204) Harakiri is death by stab in abdomen.'Hara-kiri is an unusual form of suicide where the abdomen is baldly punctured by a short sword in a sitting position resulting in one large fatal wound, causing sudden evisceration of internal organs resulting in sudden fall of intraabdominal pressure, followed by collapse, and death.'- Parikh's 6/e p4.21'A ritual form of suicide, by slashing the abdomen, formerly practiced in Japan, and commanded by the government in the cases of disgraced officials; disembowelment.' -